Most common type of nephropathy found in HIV patients is?
1. Membranous glomerulonephritis
2. Fibrillary glomerolopat
3. Collapsing glomerulonephritis
4. RPGN

Correct answer: 3. Collapsing glomerulonephritis

Explanation: Ans. is 'c' i.e., Collapsing glomerulonephritis * Most common (80%) kidney lesion in AIDS is FSGS (especially collapsing variant). Mesangioproliferative GN is 2nd most common kidney lesion (10-15%).* Other kidney lesions in AIDS are acute diffuse proliferative GN, MPGN, IgA nephropathy, membranous GN and minimal change disease.